Psammoma bodies are seen in all except
1. Follicular carcinoma of thyroid
2. Papillary carcinoma of thyroid
3. Serious cystadenoma of ovary
4. Meningioma

Correct answer: 1. Follicular carcinoma of thyroid

Explanation: Ref, Robbins 8/e p38, 9/e p65 Tumors(MOST for PG) M-meningioma O- papillary carcinoma of O vary S-papillaru carcinoma of salivary gland T- papillary carcinoma of thyroid Prolactinoma,papillary type of renal cell carcinoma Glucagonoma.